Most common cause of osteomyelitis is -
1. Staphylococcus Aureus
2. Pseudomonas Aeruginosa
3. EColi
4. Streptococcus Pyogens

Correct answer: 1. Staphylococcus Aureus

Explanation: Ans. is 'a' i.e., Staphylococcus Aureus Organisms causing acute osteomyelitiso It is caused most commonly by staphylococcus aureuso Other causative organisms are streptococcus, pneumococcus, and gram negative bacilli.o Infection by pseudomonas becomes proportionally much more common in IV drug abuser. But, the most common organism is staphylococcus aureus